Temporary water hardness is removed by
1. Filtration
2. Storage
3. Addition of bleaching powder
4. Boiling

Correct answer: 4. Boiling